Which of the following organism shows satellitism in cultures?
1. Haemophilus
2. Streptococcus
3. Klebsiella
4. Proteus

Correct answer: 1. Haemophilus

Explanation: When Staphylococcus aureus is streaked across a plate of blood agar on which a specimen containing H. influenzae has been inoculated, after overnight incubation, the colonies of H. influenzae will be large and well developed alongside the streak of staphylococcus, and smaller farther away. This phenomenon is called satellitism and demonstrates the dependence of H. influenzae on the V factor, which is available in high concentrations near the staphylococcal growth and only in smaller quantities away from it. This is a routine test in clinical bacteriology for the identification of H. influenzae. Ref: Textbook of Microbiology By Ananthanarayan And Paniker, 6th edition, Page 306-307.